Cysticercus cellulosae is seen in infection with the following parasite:
1. T. solium
2. T. saginata
3. Echinococcus granulosus
4. None of the above

Correct answer: 1. T. solium

Explanation: Cysticercus cellulosae is the larval stage of Taenia solium. In addition to the definitive host for T. solium, man can act as intermediate host also and harbour the larval stage - i.e., cysticercus cellulosae. Life cycle of Tenia solium is similar to that of T. saginata except that the intermediate host is pig and the larval stage known as cysticercus cellulosae can also develop in humans. Ref: Medical Parasitology By Bhatia, 3rd edition, Page 213.